Which of the following drugs is not used in the treatment of mycobacterium avium intracellular infection?
1. Clarithromycin
2. Eflornithine
3. Ethambutol
4. Rifabutin

Correct answer: 2. Eflornithine

Explanation: Clarithromycin: The antimicrobial spectrum of clarithromycin is similar to erythromycin; in addition, it includes Mycobact. avium complex (MAC), other atypical mycobacteria, Mycobact. leprae and some anaerobes but not Bact. Jragilis. It is more active against sensitive strains of gram-positive cocci, Moraxella, Legionella, Mycoplasma pneumoniae and Helicobacter pylori. However, bacteria that have developed resistance to erythromycin are resistant to clarithromycin also. Eflornithine (a-difluoromethylornithine or DFMO) is a drug found to be effective in the treatment of facial hirsutism (excessive hair growth) as well as in African trypanosomiasis (sleeping sickness). Eflornithine hydrochloride cream for topical application is meant for women affected by facial hirsutism. Ethambutol (E): Ethambutol is selectively tuberculostatic and clinically as active as S. Fast multiplying bacilli are more susceptible as are many atypical mycobacteria Rifabutin: It is related to rifampin in structure anC. mechanism of action; but less active against M. tuberculi and more active against MAC. Only partial cross resistance occurs between the two. In a dose of 300 mg/ day rifabutin is used for prophylaxis of MAC infection in AIDS patient For the treatment of established MAC infection, it has been added to ethambutol + clarithromycin/ azithromycin ESSENTIALS OF MEDICAL PHARMACOLOGY,en.wikipedia.org/wiki/eflornithine K.D.TRIPATHI SIXTH EDITION PAGE NO:742,744,730